A most common site for carcinoma stomach is -
1. Antrum
2. Fundus
3. Lesser curvature
4. Greater curvature

Correct answer: 1. Antrum

Explanation: CSDT writes

"40% of tumors are in the antrum, predominantly on the lesser curvature, 30% arise in the body and fundus, 25% at the cardia, and 5% involve the entire organ."

The malignant tumors are more common on the lesser curvature than greater curvature, but an ulcerative lesion on greater curvature is more likely to be malignant and is viewed with more suspicion.

Also, know

About 90% of stomach cancers are adenocarcinomas
It's a disease of the elderly (mean age of presentation is 63 yrs) Rare under age 40.
The male-female ratio is 2 : 1